Radiological factors indicating an unstable pelvis are all except
1. Posterior sacroiliac complex displacement by > 1 cm
2. Avulsion fracture of sacral or ischial end of the sacrospinous ligament
3. Avulsion fractures of the L5 transverse process
4. Isolated disruption of pubic symphysis with pubic diastasis of 2 cm.

Correct answer: 4. Isolated disruption of pubic symphysis with pubic diastasis of 2 cm.

Explanation: ref : maheswari 9th ed